Rapid examination of Tubercle bacilli is possible with?
1. Ziehl-Neelsen stain
2. Kin young stain
3. Auramine-Rhodamine stain
4. Giemsa stain

Correct answer: 3. Auramine-Rhodamine stain

Explanation: Ans. is 'c' i.e., Auramine Rhodamine stain